A patient on alcohol dependence was given a drug & to avoid alcohol as drug interaction would lead to adverse drug reaction ?
1. Disulfiram
2. Acamprosate
3. Naloxone
4. Nalterxone

Correct answer: 1. Disulfiram

Explanation: Ans. is 'a' i.e., Disulfiram The most commonly used aversive drug for alcohol abuse is disulfiram. Normally alcohol is metabolized by oxidation in liver. Alcohol Aldehyde Ethyl alcohol - Acetaldehyde - Acetate - CO2 + H2O dehydrogenase dehydrogenase Disulfiram inhibits the enzyme aldehyde dehydrogenase When alcohol is ingested after taking disulfiram, the concentration of acetaldehyde in tissues and blood rises and a number of highly distressing symptoms (aldehyde syndrome) are produced -4 Flushing, burning sensation, throbbing headache, perspiration, uneasiness, tightness in chest, dizziness, vomiting, visual disturbances, mental confusion, postural fainting and circulatory collapse. Inhibition of aldehyde dehydrogenase with disulfiram is irreversible, synthesis of fresh enzyme is required for return of activity.